Which of the following markers increases the risk of recurrent carcinoma breast?
1. Ca 125
2. Ca 19-9
3. Ca 27-29
4. PSA

Correct answer: 3. Ca 27-29

Explanation: C i.e. Ca 27-29Ref: ASCO GuidelinesExplanation:Breast Carcinoma Recurrence:ASCO recommends that the following tests and imaging tests are not used to watch for a recurrence when a person has no signs or symptoms that the breast cancer has returned:Tumor marker tests for CEA, CA 15-3 and CA 27-29.CT scan.PET scan.Bone scan.